A Syndrome is characterized by Pancreaticneoplasm (insulinoma), Pituitary, and Parathyroid involvement. The syndrome is:
1. Polyglandular Type I
2. Polyglangular Type 2
3. Wermer
4. Sipple

Correct answer: 3. Wermer

Explanation: Wermer